The length of the female urethra is:
1. 4 cm
2. 6 cm
3. 8 cm
4. 10 cm

Correct answer: 1. 4 cm

Explanation: Ans: a (4 cm) Ref: Chaurasia, 4th ed, p. 349,350Length of the female urethra is 4 cm and it is 6 mm in diameter.Because of more elastic tissue and smooth muscle, female urethra is more distensible than males."Because of the shorter span and opening to exterior through vestibule, female urethra is easily infected."Length ot the male urethra is 20 cm:It is divided into a prostatic part 3 cm long, a membranous part 1.5-3 cm long and a spongy or penile part 15 cm longWidest and most dilatable part- prostaticNarrowest and least dilatable part-membranous